Filgrastim is used for the treatment of:
1. Neutropenia
2. Anemia
3. Polycythemia
4. Neutrophilia

Correct answer: 1. Neutropenia

Explanation: Ans. (A) Neutropenia(Ref: Katzung's 11/e p580-581)Filgrastim (G-CSF) and sargramostim (GM-CSF) are used to prevent or treat chemotherapy induced neutropenia.Erythropoietin is used to treat anemia associated with chronic renal failure and cancer chemotherapy.Oprelvekin (1L-11) is used to prevent and treat thrombocytopenia.